Which of the following is slowest acting receptor?
1. Beta 1 receptor
2. M2 receptor
3. Tyrosine kinase receptor
4. Mineralocorticoid receptor

Correct answer: 4. Mineralocorticoid receptor

Explanation: Ans. D. Mineralocorticoid receptora. Nuclear receptor are the slowest acting receptors.b. The only nuclear receptor in the options is mineralocorticoid receptors.